Which of the following chemotherapeutic agents is associated with secondary leukemia
1. Vinblastine
2. Paclitaxel
3. Cisplatin
4. Bleomycin

Correct answer: 3. Cisplatin

Explanation: Alkylating agents bind to DNA and has the potential to introduce mutations. Therefore, these agents can cause secondary leukemias. Procarbazine is most important drug implicated in causation of secondary leukemias.
Cisplatin acts by similar mechanism and can cause leukemia.